Primary Health Care includes, all except -
1. Treatment is done by a doctor
2. Equitable distribution
3. Intersectoral coordination
4. Appropriate technology

Correct answer: 1. Treatment is done by a doctor

Explanation: principles of primary healthcare equitable distribution Community participation Intersectoral coordination Appropriate technology's (Refer pgno: 892 park 23rd edition)